Lesion not seen in Lepromatous leprosy is:-
1. Macule
2. Papule
3. Nodule
4. Vesicle

Correct answer: 4. Vesicle

Explanation: Lepromatous leprosy The first clinical manifestations are usually dermal (because early nerve involvement is usually asymptomatic) Leonine facies occur due to diffuse involvement of the facial skin Early symptoms Nasal symptoms of stuffiness, discharge and epistaxis, and oedema of legs and ankles due to increased capillary stasis and permeability. Eyebrows and eyelashes become thinned or lost (madarosis) Ear lobes are thickened Nose becomes misshapen, and may collapse due to septal perforation and loss of the anterior nasal spine Dermal signs comprise macules, diffuse papules, infiltration or nodules, Hair growth and sensation are not initially impaired over the lesions.